Birth weight of all 10 babies born an in a nursing home on a day was 2.7 kg. Standard deviation is -
1. 0
2. 1
3. 0. 27
4. 2.7

Correct answer: 1. 0

Explanation: Standard deviation is a measure of dispersion from central value.
In the question, there is only one central value (2.7 Kg) as all 10 babies have same weight. Thus, there is no dispersion.